Potassium sparing diuretics ?
1. Spironoloctone
2. Triameterene
3. Amiloride
4. All of the above

Correct answer: 4. All of the above

Explanation: Ans. is 'd' i.e., All of the above